Which of the following is not an ester –
1. Amethocaine
2. Benzocaine
3. Procaine
4. Bupivacaine

Correct answer: 4. Bupivacaine

Explanation: Bupivacaine is an amide.